Which is the appropriate age for Repair of Cleft palate
1. 6 month to 1 year
2. 12 to 15 month
3. At puberty
4. Just after birth

Correct answer: 1. 6 month to 1 year

Explanation: Ans is 'a' i.e. 6 months to 1 year [Ref: Sabiston 18/e p2138 (17/e, p2188); Schwartz 9/e pl658; Bailey & Love 25/e p661 (24/e, p648; 23rd/e p589)\Timing of Repair of Cleft PalateAccording to Sabiston - before 12 monthsAccording to Schwartz -at 9 to 12 months of ageAccording to Bailey & Love - between 6 and 18 monthsSabiston writes- " The timing of cleft repair is important, and a general recommendation is lip repair at 3 months, palate repair by 12 months, and alveolar bone grafting at about 9 years''Also knowTiming of repair of cleft livAccording to CSDTFollow the 'Rule of Ten' i.e. Surgery is done after 10 wks of age weight > 10 lb (4.5 kg) hemoglobin >10 g/dlAccording to Schwartz -at 3 to 6 months of ageAccording to Sabiston - at 3 months of ageAccording to Bailey - between 3 & 6 months of age